A 30 year old female, presents with episodic throbbing headache associated with nausea and vomiting for past 4 yrs. What will be the most likely diagnosis is:
1. Migraine
2. Cluster headache
3. Angle closure glaucoma
4. Temporal arteritis

Correct answer: 1. Migraine

Explanation: Migraine is the second most common form of headaches affecting ~15% of woman and ~6% of men. It is an episodic headache associated with sensitivity to light, sound and movement. Often accompanied by nausea and vomiting. Migraine is a benign and recurring syndrome of headache recognized by its activators, termed as triggers. Ref: Harrison's Principle of Internal Medicine, 16th Edition, Pages 88-89